Oxidative or Respiratory burst phenomenon?
1. Due to antimicrobial proteins called defensins
2. Occurs during diapedesis
3. Activation of NADPH oxidase associated with increase in oxygen uptake and metabolism in neutrophils
4. Production of HOCl, HOBr from Cl-, Br- respectively by the action of myeloperoxidase

Correct answer: 3. Activation of NADPH oxidase associated with increase in oxygen uptake and metabolism in neutrophils

Explanation: Activation of NADPH oxidase is associated with a sharp increase in O2 uptake and metabolism in the neutrophil (the respiratory burst) and generation of O2- by the following reaction: NADPH + H++ 2O2+ - NADP++ 2H++ 2O2- Reference: Ganong's Review of Medical Physiology; 25th edition; Page no: 68